Arterial supply of tonsil is mainly by:
1. Maxillary artery
2. Tonsillar branch of facial artery
3. Middle meningeal artery
4. Internal carotid artery

Correct answer: 2. Tonsillar branch of facial artery

Explanation: Ans. B Facial artery The arterial supply to the tonsil derives mainly from the tonsillar branch of the facial artery and the descending palatine artery; veins drain into the pharyngeal plexus and the lymphatic drainage from the tonsil is into the upper deep cervical lymph nodes, which may enlarge during tonsillar infection. The tonsil is supplied by five arteries a. Tonsillar branch of facial- This is the main artery b. Ascending pharyngeal artery from external carotid c. Ascending palatine - a branch of facial artery d. Dorsal linguae branches of lingual artery e. Descending palatine branch of the maxillary artery.